Vaccine not contraindicated in pregnancy are all except:
1. Rabies
2. Hepatitis B
3. Yellow fever
4. Hepatitis A

Correct answer: 3. Yellow fever

Explanation: Ans. C: Yellow Fever